Apgar stands for: (Asked twice in exam)
1. Attitude pulse grimace activity respiratory effort
2. Attitude pulse grimace appearance respiratory effort
3. Appearance pulse grimace activity respiratory effort
4. Appearance pulse grimace attitude respiratory effort

Correct answer: 3. Appearance pulse grimace activity respiratory effort

Explanation: ANS. C